MC blood transfusion reaction is -
1. Febrile nonhemolytic transfusion reaction
2. Hemolysis
3. Transmission of infections
4. Electrolyte imabalnce

Correct answer: 1. Febrile nonhemolytic transfusion reaction